Commonest organism causing acute epiglotitis is
1. H. influenza
2. Clostridium
3. S. pneumonia
4. RSV

Correct answer: 1. H. influenza